Dohlman's procedure is used for:
1. Rectal prolapse
2. Esophageal achalasia
3. Cancer oesophagus
4. Zenker's diverticulum

Correct answer: 4. Zenker's diverticulum

Explanation: Ans. (d) Zenker's diverticulumRef: Sabiton 20th Edition, Page 1019* Dohlman Endoscopic stapling procedure is indicated for diverticulum >3cm size